A patient requiring total parental nutrition for more than a month via central venous catheter. All are done except
1. Change central venous catheter tube every two weeks routinely
2. LFT, BUN must be done weekly once
3. Electrolytes must be checked every 2-3 days once
4. Sudden glucose intolerance is an early sign of sepsis

Correct answer: 1. Change central venous catheter tube every two weeks routinely

Explanation: Central venous catheter is changed only if infected is suspected or catheter is blocked.